Jaggery contains good amount of -
1. Vitamin C
2. Calcium
3. Iron
4. Vitamin D

Correct answer: 3. Iron

Explanation: Food containing non heam iron are those of green leafy vegetables, legumes, nuts, jaggery. REF. PARK'S TEXTBOOK OF PREVENTIVE AND SOCIAL MEDICAL 21ST EDITION. PAGE NO - 575